Millennium Development Goals (MDGs) are based upon:-
1. WHO health records
2. UNICEF health criteria
3. United National Millennium Declaration
4. SEARO Millennium Declaration

Correct answer: 3. United National Millennium Declaration

Explanation: Millennium Development Goals are based upon United Nations Millennium Declaration The millennium development goals (MDGs) were the eight international development goals for the year 2015 that had been established following the millennium summit of the United Nations in 2000, following the adoption of the United Nations millennium declaration. All 189 United Nations member states, at that time & at least 22 international organizations, committed to help achieve MDGs by 2015.